A 32 weeks pregnant women presents with mild uterine contraction and on examination her vitals are stable and placenta previa type III is present. Best m/n is:
1. Bed rest + Dexamethasone
2. Bed rest + Nifedipine and Dexamethasone
3. Bed rest + Sedation
4. Immediate caesarean section

Correct answer: 2. Bed rest + Nifedipine and Dexamethasone

Explanation: At 32 weeks patient is presenting with uterine contraction which is a warning symptom of preterm labour.
Management of patient with placenta previa and preterm labour:

Tocolytic agent: “Uterine contractions are common in patients with placenta previa. Since uterine contractions have the potential to, disrupt the placental attachment and aggravate the bleeding, most obstetricians favor the use of tocolytic agents in the expectant management of patient with placenta previa”.
Most commonly used tocolytics in case of placenta previa.


Nifedipine
Magnesium sulphate


Tocolytics which are not used –


Terbutaline and Ritodrine: They cause tachycardia and make the assessment of patient’s pulse rate unreliable.
Indomethacin: It causes inhibition of platelet cyclo oxygenase system and prolongs the bleeding time.


Besides this - patient should be:


Put on bed rest in left lateral position.
Glucocorticoids are given to hasten lung maturity.